When does the metanephros become functional?
1. At week 3 of development
2. At week 4 of development
3. At week 10 -12 of development
4. Just before birth

Correct answer: 3. At week 10 -12 of development

Explanation: The metanephros begins to form at week 5 and starts to function in the fetus at about week 10-12 The pronephros is not functional in humans. The mesonephros leaves behind mesonephric duct & gets degenerated.